Drug of choice for Cl. difficile ?
1. Metronidazole
2. Vancomycin
3. Rifampicin
4. Ciprofloxacin

Correct answer: 2. Vancomycin

Explanation: Drug of choice is oral vancomycin and second drug of choice Metronidazole